1st symptom to respond to IV Thiamine in Wernicke's encephalopathy is?
1. Opthalmoplegia
2. Sensory Ataxia
3. Vestibular ataxia
4. Global confusion

Correct answer: 1. Opthalmoplegia

Explanation: Wernicke's encephalopathy * Global Confusion * Ophthalmoplegia: VI N. * Ataxia - Rx- IV Thiamine -First to respond to treatment - Ophthalmoplegia